Absence of lamina dura seen in ?
1. Rickets
2. Multiple myeloma
3. Rheumatoid arthritis
4. Hyperparathyroidism

Correct answer: 4. Hyperparathyroidism

Explanation: Ans. is `d' i.e., Hyperparathyroidism